Which among the following subtypes of Osteogenesis imperfecta is not associated with blue sclera?
1. Type I
2. Type II
3. Type III
4. Type IV

Correct answer: 4. Type IV

Explanation: Ans. (d) Type IV(Ref: Robbins 9th/pg 140; 8th/pg 140)Classification of Osteogenesis Imperfecta (OI)TypeBone FragilityBlue ScleraAbnormal DentitionHearing LossInheritanceIMildPresentPresent in somePresent in mostADIIExtremePresentPresent in someUnknownS, rarely ARIIISevereBluish at birthPresent in someHigh incidenceAD, rarely ARIVVariableAbsentAbsent in IVA, present in IVBHigh incidenceADVModerate to severeAbsentAbsent ADVIModerate to severeAbsentAbsent UnknownVIIModerateAbsentAbsentAbsentAR